Production of fructose in seminal fluid is by following steps
1. Glucose-6-phosphate > fructose-6-phosphate > fructose
2. Glucose-6-phosphate > sorbitol phosphate > fructose phosphate > fructose
3. Glucose-6-phosphate > glucose > sorbitol > fructose
4. Glucose-6-phosphate > fructose- 1 -phosphate > fructose

Correct answer: 3. Glucose-6-phosphate > glucose > sorbitol > fructose

Explanation: Glucose-6-phosphate>glucose>Sorbitol>Fructose 

Fructose can be synthesis from glucose or glycogen. The pathway is :-